Classification of aortic dissection depends upon?
1. Cause of dissection
2. Level of aorta affected
3. Percentage of aorta affected
4. None

Correct answer: 2. Level of aorta affected

Explanation: Ans. is 'b' i.e., Level of aorta affectedClassification of Aortic dissectiono The risk and nature of serious complications of dissection depend strongly on the level of aorta affected, with the most serious complications occuring from the aortic valve to the arch.o Thus aortic dissections are generally classified into two types -1. Proximal lesion (Type A)o More common and more dangerous.o Involve either the ascending portion only or both ascending and the descending portion of aorta.2. Distal lesion (Type B)o Involve only discending part distal to subclavian artery.